Lung fluke is -
1. Echinococcus
2. Paragonimus
3. Trichinella
4. Fasciola

Correct answer: 2. Paragonimus

Explanation: Ans. is 'b' i.e., Paragonimus Metazoa (Helminths) | | | Nemathelminthes Platyhelminthes | | | | Class: Nematoda(Roundworms) Class: Cestoda(Tapeworms) Class: Trematoda (Flukes) | | | ||||||||Intestinal speciesIntestinal tissue speciesBlood tissue speciesIntestinal tissue speciesIntestinal tissue speciesIntestinal speciesBlood speciesTissue speciesEnterobius vermicularisTrichura trichisisAscaris lumbricoidesNecator americanusAncylotoma duodenaleStrongyloides stercoraiisTrichinella spiralisDracunculus medinensisWuchereria bancroftiBrulgia malayiLoaloaOnchocerca volvulusTaenia sagnataTaenia soliumHymenolepsis nanaDiphyllobo- thrium latumEchinococcus granulosusFasciolopsis buskiSchistosoma speciesFasciola hapatic (liver fluke)Paragoni- mus wes- termni (lung fluke)